Subconjunctival haemorrhage can occur in all conditions except:
1. Passive venous congestion
2. Pertusis
3. Trauma
4. High intraocular tension

Correct answer: 4. High intraocular tension

Explanation: Ans. High intraocular tension